Drug that does not follow nonlinear dose dependent saturation kinetics
1. Paracetamol
2. Salicylates
3. Phenytoin
4. Ethanol

Correct answer: 1. Paracetamol

Explanation: (A) Paracetamol # Nonlinear Pharmacokinetics> Nonlinearity in pharmacokinetics (i.e., changes in such parameters as clearance, volume of distribution, and half-life as a function of dose or concentration of drug) usually is due to saturation of either protein binding, hepatic metabolism, or active renal transport of the drug.